At the CEJ cementum overlaps enamel about
1. 55 to 60%
2. 60 to 65%
3. 65 to 70%
4. 70 to 75%

Correct answer: 2. 60 to 65%